Sciatic nerve blockade provides sensory loss of the
1. Anterior and lateral thigh
2. Posterior thigh and majority of the leg below the knee
3. Medial and posterior thigh
4. Medial leg below the knee

Correct answer: 2. Posterior thigh and majority of the leg below the knee

Explanation: Sciatic nerve blockade results in sensory loss to the posterior thigh by blocking the posterior cutaneous nerve along with everything below the knee, except for the medial lower leg, which is innervated by the saphenous nerve.